Which of the following induction agent produce cardiac stability
1. Ketamine
2. Etomidate
3. Propofol
4. Midazolam

Correct answer: 2. Etomidate

Explanation: Refer Katzung 11/e p 437 Major advantage of etomidate over other intravenous anesthetic is that it causes minimum cardiovascular and respiratory depression Propofol has greatest negative inotropic action among all intravenous anesthetics Ketamine has cardiostimulatory properties and hypertension Midazolam is not used as an inducing agent